Dyskeratosis is characteristic feature of :
1. Darrier's ds
2. Pemphigus vulgaris
3. Psoriasis
4. All

Correct answer: 1. Darrier's ds

Explanation: A i.e. Darrier's ds